Commonest site for ischemic colitis is
1. Hepatic flexure
2. Splenic flexure
3. Descending colon
4. Ascending colon

Correct answer: 2. Splenic flexure

Explanation: Ans is 'b' ie. Splenic flexure "Although splenic flexure is the most common site of ischemic colitis, any segment of colon may be affected. The rectum is relatively spared because of its rich collateral circulation." - Schwartz 9/eOther Commonly asked Commonest Sites*Crohn's ds* -Terminal ileum*Amoebic colitis* -Sigmoid colon*Typhoid ulcer* -Terminal ileum*Tuberculous ulcer* -Terminal ileum*Ulcerative colitis* -Rectum*Colonic diverticula* -Descending & Sigmoid colon*Gall stone ileus -Terminal ileum*Volvulus* -Sigmoid colon*Polyps in Peutz-Jeghers synd* -Jejunum*Peptic ulcer* -1st part of duodenum*Gastric ulcer* -Lesser curvature (Just beyond the junction of body & antrum)*Hirschsprung ds* -Rectum*Obstruction in meconium ileus* -Distal ileum*Bleeding in angiodysplasia* -Right colon*Colon Ca -Rectosigmoid (more specifically rectum)